Transplacental transfer of antibodies from immunized mother to her newborn is
1. Natural active immunity
2. Natural passive immunity
3. Acquired active immunity
4. Acquired passive immunity

Correct answer: 2. Natural passive immunity

Explanation: Ans. b (Natural passive immunity). (Ref. Textbook of Microbiology by Anantanarayan 6th/72)# Natural active immunity results from either clinical or inapparent infection by a parasite.# A person who has recovered from attack of chickenpox or of measles develops natural active immunity (lifelong).# Artificial active immunity is by vaccines.# Artificial passive immunity is immune horse serum administration# Transplacental transfer of antibodies from immunized mother to her newborn is natural passive immunity.